Mondor's disease, True is
1. Lymphedema of upper limb
2. Risk factor for breast cancer
3. Variant of thrombophlebitis
4. Mastectomy is the treatment of choice

Correct answer: 3. Variant of thrombophlebitis

Explanation: Mondor's disease/ String phlebitis is a variant of thrombophlebitis that involves the superficial veins of the anterior chest wall and breast. Presents with acute pain in the lateral aspect of the breast or the anterior chest wall.Benign, self-limited disorder is not indicative of a cancer Treatment- use of anti-inflammatory medications\ and application of warm compresses